All of the following are known adverse effects of thalidomide, except:
1. Diarrhoea
2. Teratogenicity
3. DVT
4. Neuropathy

Correct answer: 1. Diarrhoea

Explanation: o Thalidomide causes constipation and not diarrhoea. REF : katzung pharmacology : 14th ed